In Kwashiorkor, the letter 'K' is post-fixed to denote
1. Weight for height
2. Skin changes
3. Edema
4. Muscle wasting

Correct answer: 3. Edema

Explanation: In IAP Classification based on weight for age, the alphabet K is postfixed in presence of edema.Ref: Page 101, Ghai essential pediatrics; 6th edition